Commonest cause of first trimester miscarriage is:
1. Syphilis
2. Cervical incompetence
3. Chromosomal abnormalities
4. Rhesus isoimmunisation

Correct answer: 3. Chromosomal abnormalities

Explanation: Ans. (c) Chromosomal abnormalitiesDutta 6th/160With respect to first trimester abortions, 75% of the abortions take place before 16thweek and out of these, about 75% occur before the 8thweek of pregnancy.* Chromosomal abnormality in the conceptus is the commonest cause of miscarriage.* Autosomal trisomy particularly Trisomy 16 is the commonest cause for spontaneous abortion.